A 75-year-old man is transported to the emergency department with severe pain of his right hip and thigh. A radiographic examination reveals avascular necrosis of the femoral head. Which of the following conditions most likely occurred to produce avascular necrosis in this patient?,
1. Thrombosis of the obturator artery
2. Intertrochanteric fracture of the femur
3. Intracapsular femoral neck fracture
4. Comminuted fracture of the extracapsular femoral neck

Correct answer: 3. Intracapsular femoral neck fracture

Explanation: An Intracapsular femoral neck fracture causes Avascular Necrosis of the Femoral Head because the fracture damages the radicular branches of the Medial and Lateral Circumflex Arteries that pass beneath the Ischiofemoral ligament and pierce the femoral neck. Comminuted fracture of the Extracapsular Femoral Neck would not ordinarily imperil the vascular supply.